Mastoid is which type of epiphysis-
1. Traction epiphysis
2. Atavistic epiphysis
3. Aberrant epiphysis
4. Pressure epiphysis

Correct answer: 1. Traction epiphysis

Explanation: Ans. is 'a' i.e., Traction epiphysis Types of epiphysisExamplesPressureHead of femur, head of humerus, condyles of tibia, lower end of radiusTractionGreater and lesser trochanters of femur, tubercles of humerus, mastoid processAtavisticCoracoid process of scapula, posterior tubercle of talus (as trigonum)AberrantHead of 1st metacarpal and base of other metacarpals.